IQ of 98 is classed at which level of intelligence?
1. Idiot
2. Normal
3. Superior
4. Near genius

Correct answer: 2. Normal

Explanation: Explanation: Level of intelligence IQ range Idiot 0-24 Imbecile 25-49 Moron 50-69 Borderline 70-79 Low normal 80-89 Normal 90-109 Superior 110-119 Very superior 120-139 Near genius 140 and above Ref: Park's textbook of Preventive and Social Medicine, 21stedition, page-629.